A 3- year- old child comes with hydrocele of the hernia sac. Management will include:
1. Herniotomy
2. Herniorrhapy
3. Observation only
4. Operated after 5 years of age

Correct answer: 1. Herniotomy

Explanation: Management of hydrocele of the hernia sac (congenital hydrocele) in a 3 years old child is Herniotomy. Mesh is not used because there will be growth in body compared to mesh.